Necrotizing lymphadenitis is characteristically seen in which of the following?
1. Kimura disease
2. Kikuchi disease
3. Hodgkin's disease
4. Castleman disease

Correct answer: 2. Kikuchi disease

Explanation: Kikuchi's disease, also known as histiocytic necrotizing lymphadenitis and Kikuchi-Fujimoto disease is a rare, non-cancerous enlargement of the lymph nodes (necrotizing). The signs and symptoms of Kikuchi's disease are fever, lymphadenopathy, skin rashes and headache. Rarely hepatosplenomegaly and nervous system involvement resembling meningitis is seen. Ref: Lymph Node Cytopathology By Stefan E. Pambuccian, Ricardo H. Bardales, Page 236.